Young's operation is done for:
1. Atrophic rhinitis
2. Vasomotor rhinitis
3. Antrachonal polyp
4. Allergic rhinitis

Correct answer: 1. Atrophic rhinitis

Explanation: Ans. A: Atrophic rhinitis Young's operation is a surgery designed for the treatment of atrophic rhinitis. The surgical procedure involves closure of the nasal cavity affected with atrophic rhinitis by creating mucocutaneous flaps. These flaps are sutured together in two layers: first the mucosal layer, then the skin layer. The nasal cavity is kept closed for a period of 6 months or later; then an examination is done - if the crusts have disappeared, a revision surgery is performed and the nasal cavity is reopened